All the following enzymes activity is increased in fasting state except
1. Acetyl CoA carboxylase
2. Carnitine acyl transferase
3. Phospho enol pyruvate carboxykinase
4. Pyruvate carboxylase

Correct answer: 1. Acetyl CoA carboxylase

Explanation: MetabolismRegulatory enzymesLipid metabolism Fatty acid oxidation Carnitine acyltransferase 1KetogenesisHMG CoA synthaseLipolysis Hormone-sensitive lipaseCarbohydrate metabolism Glycogenolysis Glycogen phosphorylase Gluconeogenesis Pyruvate carboxylase Phosphoenol pyruvate carboxykinase (PEPCK)Fructose1,6 bisphosphataseGlucose-6-phosphatase(Refer: DM Vasudevan, Textbook of Biochemistry, 7th edition, pg no: 102-103)